Estrogen positive breast cancer is best treated by which drug?
1. Tamoxifen
2. Clomifene
3. Glutethemide
4. 5-FU

Correct answer: 1. Tamoxifen

Explanation: Ans. is 'a' i.e., Tamoxifen Drugs commonly used in hormone (estrogen) receptor positive breast cancer SERMs Tamoxifen, tromifene SERDs Fulvestrant o Aromatase inhibitors :- Letrozole, anastrazole, exemestone.